Radionuclide scan done for Parathrroid adenoma is?
1. Sesta MIBI scan
2. Iodine-123 scan
3. 99mTc-sulphur colloid
4. Gallium scan

Correct answer: 1. Sesta MIBI scan

Explanation: Ans. (a) Sesta MIBI scanRef. Grainger and Allison 4thed p-1380